All are true about neuropeptide Y except :
1. Consist of 36 amino acids
2. Decreased in starvation
3. Decrease thermogenesis
4. Regulated by melanocortin

Correct answer: 2. Decreased in starvation

Explanation: Neuropeptide secretion increases during starvation, the other actions are true regarding neuropeptide Y.
Neuropeptide Y is a polypeptide containing 36 amino acid residues that are closely related to the pancreatic polypeptide. It is present in many parts of the brain and the autonomic nervous system. In the autonomic nervous system, although not in the brain, much of it is located in noradrenergic neurons, from which it is released by high-frequency stimulation. It augments the vasoconstrictor effects of norepinephrine. Circulating neuropeptide Y from sympathetic nerves increases with severe exercise in humans. In the hypothalamus, it mediates increased appetite. Y1, Y2 Y4, Y5, and Y6 receptors for this polypeptide have been cloned.